Most common symptom of carcinoma bronchus is:
1. Hemoptysis
2. Dyspnoea
3. Cough
4. Wheezing

Correct answer: 3. Cough

Explanation: CA Bronchus * M/C symptom - Cough > Dyspnea > chest pain > hemoptysis * MC artery responsible for hemoptysis in CA bronchus- bronchial arteries